A 40 year old female patient complains of painless anterior neck mass. She has a history of hypothyroidism. Her blood work suggests increased TSH levels and decreased T3 and T4 levels. Circulating thyroid autoantibodies are also confirmed. The patient is suffering from
1. De Quervain's thyroiditis
2. Riedel's thyroiditis
3. Hashimoto’s thyroiditis
4. None of the above

Correct answer: 3. Hashimoto’s thyroiditis